'Telefono' is:
1. Beating on soles
2. Bilateral beating on ears
3. Pulling of ears
4. Hitting with telephone

Correct answer: 2. Bilateral beating on ears

Explanation: Ans. Bilateral beating on ears